Most common cause of Aortic dissection -
1. Hypertension
2. DM
3. Trauma
4. Marfan syndrome

Correct answer: 1. Hypertension

Explanation: More than 90% of dissections occur in men between the age of 40 and 60 with antecedent hypertension. Other causes of dissection.
Marfan syndrome causing cystic medial necrosis (second most common).
Ehlers - Danlos syndrome.
Inflammatory aortitis → Takayasu's disease, Giant cell arteritis.
Coarctation of aorta.
Normal woman during third trimester of pregnancy.
Congenital bicuspid aortic valve.